The subconjunctival hemorrhage remains bright red in color for a long time because?
1. Permeability of conjunctiva to the oxygen
2. Natural color of the blood
3. Lack of drainage of the pooled blood
4. None

Correct answer: 1. Permeability of conjunctiva to the oxygen